Poland, syndrome all of the following are seen except-
1. Absence of lattissimus dorsi
2. Absence of pectoralis major
3. Syndactyly of digits
4. Short index fingers

Correct answer: 1. Absence of lattissimus dorsi